A 12 years old girl with tremors and emotional liability has golden brown discolouration in Descement's membrane. The most likely diagnosis is?
1. Fabry's disease
2. Wilson's disease
3. Glycogen storage disease
4. Acute Rheumatic fever

Correct answer: 2. Wilson's disease

Explanation: Answer is B (Wilson's Disease): Psychiatric manifestations in the form of emotional lability along with neurological manifestations in the form of tremors and the characteristic 'Kayser Fleisher Rings' (golden brown discolouration of descemet's membrane) are diagnostic of Wilsons disease.